Pathological changes occur in dengue haemorrhagic  Fever ( DHF):
1. Focal haemorrhages and congestion.
2. Coagulopathy with thrombocytopenia.
3. Haemoconcentration.
4. All of the above.

Correct answer: 4. All of the above.

Explanation: PATHOLOGIC CHANGES The predominant organ Changes in DHF are due to:

Focal haemorrhages and congestion;
Increased vascular permeability resulting in oedema in different organs;
Coagulopathy with thrombocytopenia; and
Haemoconcentration.